Side effect of clomephine citrate includes all except
1. Multiple pregnancy
2. Increase risk of ovarian ca
3. Multiple polycystic ovary
4. Teratogenic effect on offspring

Correct answer: 4. Teratogenic effect on offspring

Explanation: Ans. is 'd' i.e. Teratogenic effect on off springs Clomiphene citrate is a pure estrogen antagonist.It binds to both the estrogen receptors i.e. ERa and ERb and act as pure estrogen antagonist in all human tissues.It is a nonsteroidal compound.The main use of clomiphene is in sterility due to failure of ovulation.Clomiphene induces ovulation by increasing Gonadotropin secretion.Normally the gonadotropin secretion is inhibited by negative feedback of estrogen.Clomiphene is an antagonist of estrogen and it abolishes this negative feedback.On clomiphene administration the amount of LH/FSH released at each pulse is increased.In response the ovaries enlarge and ovulation occurs if the ovaries are responsive to gonadotropins.The peripheral response of clomiphene produces hot flushes, and the endometrium and cervical mucus may be modified.UsesThe main use of clomiphene is in sterility due to failure of ovulation (50 mg once daily for 5 days starting from 5th day of cycle)Treatment is given monthly.If 1-2 months treatment does not result in conception the daily dose may be doubled for 2-3 cycles.Other usesTo aid in vitro fertilizationClomiphene given with gonadotropin causes synchronous maturation of several ova and improves their harvesting for in vitro fertilization.OligozoospermiaClomiphene increases Gn secretion in male also - promotes spermatogenesis and testosterone secretion.Adverse effectsPolycystic ovariesMultiple pregnancyIncreased risk of ovarian CaHot flushesGastric upsetVertigoAllergic dermatitis